In Pylorus preserving type of Pancreaticoduodenectomy structure not resected is:
1. Pyloric antrum
2. CBD
3. Duodenum
4. None

Correct answer: 1. Pyloric antrum

Explanation: Ans. (a) Pyloric AntrumRef: Sabiston Page 1549/ 20th edition* Pylorus Preserving Pancreaticoduodenectomy - Pyloric antrum is preserved * In this surgery there is a reduced incidence of Post; pancreatectomy dumping and Bile reflux